Most common organ to be injured in primary blast injuries is:
1. Liver
2. Spleen
3. Skin
4. Tympanic membrane

Correct answer: 4. Tympanic membrane

Explanation: Ans: D (Tympanic membrane) Ref: The Essentials of Forensic Medicine and Toxicology by KS Narayan Reddy. 29th edition. 2010.Explanation:Primary blasts can be air blast, underwater blast or solid blast.The injury is a result of the wave of pressure created during a blast.Most common organ involvement:Air blast - Tympanic membrane. Lung, Middle ear, cochlea, eyes. bowelsUnderwater blast - GIT, lungsSolid blast - Skeleton, GIT. Lungs